The deficit in weight for height in a 3-year-old child indicates
1. Concomitant acute and chronic
2. Chronic malnutrition
3. Acute malnutrition
4. Under weight

Correct answer: 3. Acute malnutrition

Explanation: Low weight for height is wasting which suggests acute malnutrition, the result of more recent food deficit or illness.